Level of the levator ani muscle is
1. Above the level of cervix
2. Below the level of cervix
3. At the level of cervix
4. None of the above

Correct answer: 2. Below the level of cervix

Explanation: Level of levator ani muscle is below level of cervix.